Oral Contraceptive failure occurs in a patient on Rifampicin because of:
1. Rifampicin induce the metabolism of contraceptive
2. Rifampicin stimulates gonadotropin release from pituitary
3. Rifampicin decrease the secretion of progestin
4. Rifampicin antagonize the action of oral contraceptive

Correct answer: 1. Rifampicin induce the metabolism of contraceptive